The vitamin used for post-translational modification of glutamic acid to y-Carboxy-glutamate is
1. Vitamin D
2. Vitamin E
3. Vitamin A
4. Vitamin K

Correct answer: 4. Vitamin K

Explanation: D i.e. Vitamin K